Basement membrane collagen is
1. IV
2. II
3. V
4. VI

Correct answer: 1. IV

Explanation: (IV): (170 Harsh mohan 6th edition)Basement membrane are PAS positive amorphous structures that lies underneath epithelia of different organs and endothelial cells, they consist of collagen type IVand laminin**